All the following are true about measles vaccine except –
1. Given subcutaneously
2. High efficacy
3. Given below 1 year of age
4. Diluent not required

Correct answer: 4. Diluent not required